A 75-year-old frail elderly man underwent TURP. The biopsy revealed adenocarcinoma. What is the next line of management -
1. Radiotherapy
2. Surgery followed by Hormonal replacement therapy
3. Conservative treatment
4. Surgery followed by radiotherapy

Correct answer: 3. Conservative treatment